HLA is the major histocompatibility antigen determining homograft rejection. This comes under
1. Antigen specificity
2. Species specificity
3. Isospecificity
4. Auto specificity

Correct answer: 3. Isospecificity

Explanation: HLA and blood groups come under iso-specificity in which antigens are present in certain group of subjects in same species Ref: Textbook of Microbiology Baveja 5th ed Pg 94